Indication for sympathectomy is all Except
1. Intermittent claudication
2. Ischemic pain
3. Rest pain
4. Buerger disease

Correct answer: 1. Intermittent claudication

Explanation: Indications of sympathectomy (BARA CHEF) Buerger's disease Atherosclerosis producing ischemia of limbs Raynaud's disease Acrocyanosis Erythrocyanosis Frost bite Hyperhydrosis Peripheral vascular insufficiency Causalgia Ref: Sabiston 20th edition Pgno :1780